A 45 year man is diagnosed with diabetes at his present visit for the first time. When should he visit an ophthalmologist-
1. On his 50th birthday
2. When dimness of vision starts
3. Before his 50th birthday
4. Immediately at time of diagnosis

Correct answer: 4. Immediately at time of diagnosis

Explanation: Ans is option 4 - immediately Patients with type 2 DM should have an initial dilated and comprehensive eye examination soon after diagnosis. Due ti risk of diabetic retinopathy at tume of diabetes diagnosis. According to American diabetic association guidelines for screening of diabetic retinopathy.